Granular deposit of IgA at dermoepidermal junction is seen in -
1. Pemphigus vulgaris
2. Bullous pemphigoid
3. Dermatitis herpatiformis
4. Pemphigus foliaceous

Correct answer: 3. Dermatitis herpatiformis

Explanation: Ans. is 'c' i.e., Dermatitis herpatiformis Immunopathological appearance of vesicobullous disorderso Bullous pemphigoid-Linear band of IgG or C3 in epidermal basement membraneo Pemphigus vulgaris-Cell surface deposits of IgG on keratinocyteso Pemphigus foliaceous-Cell surface deposits of IgG on keratinocyteso Pemphigoid gestationis-Linear band of C3 in epidermal basement membrane zoneo Dermatitis herpeteformis-Granular deposits of IgA in dermal papillaeo Chronic bullous disease of childhood-IgA deposits along the dermoepidermal junctiono Linear IgA dermatosis of adults-Linear deposits of IgA at dermoepidermal junction